Egg Shell Calcification" in chest X ray is seen in?
1. Silicosis
2. Sarcoidosis
3. Treated Lymphoma
4. All above

Correct answer: 4. All above

Explanation: ANSWER: (D) All aboveREF: Chapman 4th ed p. 148EGG SHELL CALCIFICATION:SilicosisPneumoconiosisSarcoidosisLymphoma following radiotherapyTB, Histoplasmosis, BlastomycosisAmyloidosis